Calmodulin acts by
1. Opening of Na+ channels
2. Phosphorylation of myosine by protein kinase
3. Activation of Na+-K+ pump
4. Dephosphorylation by protein kinase

Correct answer: 2. Phosphorylation of myosine by protein kinase

Explanation: Calmodulin contains myosin light-chain kinase, which phosphorylates myosin and phosphorylase kinase which activates phosphorylase.(Ref: Textbook of physiology AK JAIN 5th edition page no.20)